Pneumatosis intestinalis is diagnostic of:
1. Ileal perforation
2. Necrotizing enterocolitis
3. Meconium ileus
4. Colonic aganglionosis

Correct answer: 2. Necrotizing enterocolitis

Explanation: Ans. (b) Necrotizing enterocolitis(Ref: Scand J Surg 94 (1): 47-50. PMID 15865117)In newborns, pneumatosis intestinalis is considered diagnostic for necrotizing enterocolitis, and the air is produced by bacteria in the bowel wall.